Von Langenbeck repair is used for treatment of:
1. Cleft lip
2. Cleft palate
3. Septal deviation
4. Saddle nose

Correct answer: 2. Cleft palate

Explanation: Von Langenbeck Repair: Two-stage palate repairs were originally described as a means of treating wide clefts; soft palate repair was done at the same time as lip repair, with the hard palate repaired later after the cleft width had diminished. In a way, this is analogous to lip adhesion; the surgeon is committed to a second operation and has additional scar to confront at the time of the second procedure. The use of two-stage palate repair has consistently been shown to produce poorer speech results when compared with most single-stage techniques, but is still used by some surgeons.